Which of the following are efficient antigen-presenting cells found in the epidermis?
1. Macrophages
2. T cells
3. Langerhans cells
4. Dendritic cells

Correct answer: 3. Langerhans cells

Explanation: Processing and presentation of antigen in association with class II molecules is critical for activation of T cells. Langerhans cells are potent antigen-presenting cells (APCs) found in skin. Macrophages are the major APCs in the body. Dendritic cells are APCs found in lymphoid tissue.